Somites are derived from __________ mesoderm:
1. Intermediate plate
2. Lateral plate
3. Paraxial
4. Extraembryonic

Correct answer: 3. Paraxial

Explanation: The intraembryonic mesoderm splits into –
Paraxial – forms Somites.
Intermediate plate - give rise to the Genital & Urinary system
Lateral plate - encloses a cavity called the intraembryonic coelom, which further forms the pericardial, peritoneal & pleural cavities.